Which of the following is an example of holocrine gland
1. Mammary glands
2. Sweat glands
3. Sebaceous glands
4. Parotid glands

Correct answer: 3. Sebaceous glands

Explanation: Inderbir Singh's Human Histology Seventh edition Pg 58 Holocrine glands seen typically in sebaceous glands